In Raynaud's disease true is :a) Lower limb more involved than commonly upper limbb) More common in femalec) Sup. thrombophlebitisd) Associated with migraine
1. bd
2. d
3. ab
4. ac

Correct answer: 1. bd

Explanation: Raynaud's disease

The diagnosis of Raynaud's ds. is made when the secondary causes of Raynaud's phenomenon are ruled out.
Over 50% of pts. with Raynaud's phenomenon have Raynaud's ds.
Ds. is more common in female (M : F ratio is 1 : 5)
Age of presentation - 20 to 40 yrs.
Fingers are involved more frequently than toes
Rarely earlobes and tip of the nose may be involved
Raynaud's phenomenon occurs frequently in patients who also have migraine headaches or variant angina. These associations suggest a common predisposing cause for the vasospasm
On physical examination the pts. are often entirely normal. The radial, ulnar and the pedial pulses are noinial.
Sclerodactyly (thickening and tightening of the digital subcutaneous tissue) may develop in few pts.
In general, pts. with Raynaud's disease appear to have a milder form of Raynaud's phenomenon. Fewer than 1% of these patients lose a part of digit.